Which of the following is the least likely cause of infant mortality rate?
1. Severe infections
2. Prematurity
3. Tetanus
4. Birth asphyxia

Correct answer: 3. Tetanus

Explanation: The principal causes of infant mortality in India are low birth weight (57%), respiratory infections (17%), diarrhoeal diseases(4%), congenital malformations (5%), cord infections (2%), birth injury (3%) Park 23e pg:569